NOT true about LENS among the following is
1. Pre - equatorial are of lens capsule is the thickest part measuring 22-23 μm
2. Anterior epithelium is made up of single layer of Cuboidal Cells
3. Posterior epithelium in postnatal life is made up of Cuboidal epithelium
4. Relative dehydration in Cortex is due to action of Na+ – K+ ATPase pump

Correct answer: 3. Posterior epithelium in postnatal life is made up of Cuboidal epithelium

Explanation: Lens has no posterior epithelium in postnatal life.